Confirmatory test of blood stain:
1. Spectroscopic test
2. Kastle meyer test
3. Benzidine test
4. Orthotoluidine test

Correct answer: 1. Spectroscopic test

Explanation: SCREENING TEST FOR BLOOD STAINS. I. Color test: 1. Benzidine test / Adler's test: BLUE +2. Phenolphthalein test : PINK +3. Orthotoludine test : BLUE + II. Luminescent test: 1. Luminol spray 2. UV Light CONFIRMATORY TEST FOR BLOOD STAINS. I. MICROSCOPY: To identify human RBC II. ABSORPTION spectroscopy: Definitive confirmatory test Most reliableUsed for recent / old stains. III. Microchemical test: 1. teichmann test / hemin crystal test 3. Takayama test / hemochromogen crystal